Spheno occipital synchondroses carries the growth of
anterior half of the gonial base of the cranium and upper
part of the face in:
1. Forward and downward directions
2. Forward and lateral direction
3. Upward and forward directions
4. Only forward direction

Correct answer: 3. Upward and forward directions